α - adrenoreceptor stimulation effects are
1. Vasoconstriction
2. Vasodilatation
3. Broncho constriction
4. Bronchodilatation

Correct answer: 1. Vasoconstriction

Explanation: Vasoconstriction- α1
Vasodilation- β
Bronchoconstriction- M3
 
Bronchodilation- β